All of the following are complications of an undescended testis EXCEPT:
1. Torsion
2. Hydrocoele
3. Trauma
4. Malignant change

Correct answer: 2. Hydrocoele

Explanation: Ans. B i.e. Hydrocoele Incomplete descent of testes Complication: Malignant change (even if the testes have been brought down surgically), Best time to operate: 9-15 months of age